A 40 years old patient who has been consuming cannabis regularly for last 20 years comes to you in withdrawal. What is the most frequently seen withdrawal symptom?
1. Yawning
2. Seizures
3. Irritability
4. Tremors

Correct answer: 3. Irritability

Explanation: Irritability is the most common cannabis withdrawal syndrome Withdrawal symptoms- Irritability Depressed mood Sleep disturbances Headache